Trendelenburg test is positive due to injury to which of the following nerve?
1. Obturator
2. Sciatic
3. Superior Gluteal
4. Inferior Gluteal

Correct answer: 3. Superior Gluteal

Explanation: Superior Gluteal A positive Trendelenburg is relatively non-specific and may indicate:Pain (e.g. due to osteoarthritis of the hip joint)Weak hip abductors (gluteus medius, gluteus minimus)Short femoral neck/ fracture of neckDislocation or subluxation of the hipNeuropathyGluteus medius and minimus are supplied by Superior Gluteal nerve. Trendelenburg testNormally when a person is made to stand on one leg, the hip abductors of the ipsilateral side raise the opposite and the unsupported side of the pelvis. If the abductor mechanism is defective, the unsupported side of the pelvis drops and this is known as positive Trendelenburg test.The abductor mechanism consists of:The hip abductors i.e. Glutei medius and minimus supplied by Superior Gluteal nerveThe fulcrum formed by the hip jointThe weight transmitted by the head and neck of femurFailure of any of the component of the abductor mechanism may result in positive Trendelenburg test.